Difference in nicotinic stomatitis from papillary hyperplasia:
1. Multiple dots at periphery
2. Rings at centre
3. Small centrally placed dot
4. Rings at periphery

Correct answer: 3. Small centrally placed dot